Nexus criteria is used for which of the following conditions:
1. Traumatic cervical spine injury
2. Traumatic ankle injury
3. Traumatic knee injury
4. Traumatic hip injury

Correct answer: 1. Traumatic cervical spine injury

Explanation: Nexus criteria is used for traumatic cervical spine injury. It checks for any neural deficits, spinal tenderness and for patients with altered consciousness and intoxicated patients as they have chances of spinal injury. Those fulfilling this criterion requires cervical spine stabilization and investigation.